Degloving injury:-
1. Separation of skin only
2. Separation of skin + subcutaneous tissue
3. Separation of skin + subcutaneous tissue + fascia exposing tendons
4. Separation of tendon exposing the bone

Correct answer: 2. Separation of skin + subcutaneous tissue

Explanation: Degloving injury: Definition: Occurs when the skin & subcutaneous fat are stripped by avulsion from the underlying fascia leaving neurovascular structures, tendon or bone exposed E.g.: - 1. Ring avulsion injury with loss of finger skin - open degloving injury 2. Rollover injury over a limb caused by motor vehicle - Closed degloving injury DEGLOVING INJURY More severe